Therapeutic indication of Donepezil:
1. Parkinsonism
2. Alzheimer's
3. Multiple sclerosis
4. Myasthenia gravis

Correct answer: 2. Alzheimer's

Explanation: Ans. B. Alzheimer'sDonepezil, rivastigmine and galantamine are the drugs given in case of Alzheimer's, they are cerebro selective anticholinesterase which increase the level of acetylcholine in the cortex.